The epitheliod cell and multinucleated giant cells of granulomatous inflammation are derived from
1. Basophils
2. Eosinophil
3. CD4T lymphocytes
4. Monocytes marcophages

Correct answer: 4. Monocytes marcophages

Explanation: Ref Robbins 9/e p97 Delayed type of hypersensitivity results from accumulation of mononucleated cells around small veins and venules producing a perivascular cuffing .mono cytes transform into macrophages which undergo morphological changes to produce epitheliod cell